Severe ptosis in a new born should be operated at the age of:
1. 1 year
2. 3 years
3. 5 years
4. Earliest possible

Correct answer: 4. Earliest possible

Explanation: Ans. Earliest possible